KF ring has deposition of which of the following in the Descemet's membrane?
1. Copper
2. Arsenic
3. Iron
4. Mercury

Correct answer: 1. Copper

Explanation: Ans. is 'a' i.e., Copper Kayser-Fleischer (KF) ring - Copper deposition in Chalcosis or Wilson's disease Fleischer ring - Deposition of iron and is a sign of keratoconus